Rotavirus vaccine- contraindication are all of the following EXCEPT?
1. SCID
2. Intussusception
3. Severe allergic reaction
4. Child on top feeds

Correct answer: 4. Child on top feeds

Explanation: ROTAVIRUS VACCINE- - Live oral vaccine - Given at 6,10 & 14 weeks (maximum age- 1 year) - Strain used- 116E strain of Indian origin - Contraindications: SCID Previous history of Intussusception / severe allergic reaction to a previous dose of the vaccine.